Mechanism of action of sodium nitrate in cyanide poisoning is
1. Produces methamoglobinemia
2. Increased blood flow to liver
3. Increased blood flow to heart
4. Increased blood flow to kidney

Correct answer: 1. Produces methamoglobinemia

Explanation: Sodium nitroprusside contain 1 Iron molecule coordinated to five cyanide molecules and one molecule of nitric oxide Prolonged use of Sodium nitroprusside may cause cyanide poisoning Detoxification occurs when cyanide and methamoglobin combines to form cyanomethamoglobin. Amyl nitrate and sodium nitrates enhance the oxidation of hemoglobin to methamoglobin, ensuring reliable mechanism of detoxification Refer kDT 6/e p 527